De Quervain's disease is tenosynovitis of
1. Abductor pollicis brevis and extensor pollicis longus
2. Abductor pollicis longus and extensor carpi radialis brevis
3. Abductor pollicis longus and extensor pollicis brevis
4. Abductor pollicis brevis and extensor carpi radialis longus

Correct answer: 3. Abductor pollicis longus and extensor pollicis brevis

Explanation: -Exterior pollicis brevis & abductor pollicis longus tendons. - form the anterolateral border of anatomical Snuff box. -It occurs d/o repeated overuse of thumb/ wrist particularly like thumb abduction. -Finkelstien test : Sudden ulnar deviation is painful. -Anatomical snuff box Triangular depression on lateral side of wrist seen best when thumb is extended. Boundaries :- -Anterolateral - Abductor policies longus tendon Exterior pollicis brevis tendon -Posteromedial - Exterior pollicis longus tendon -Floor - Scaphoid & trapezium Contents - Radial artery, radial nerve, cephalic vein